Conn's syndrome is associated with all, except :
1. Hypertension
2. Muscle weakness
3. Hypokalemia
4. Edema

Correct answer: 4. Edema

Explanation: Answer is D (Edema): `Patients with primary aldosteronism (Conn's syndrome) characteristically do not have edema since they exhibit an "escape" phenomenon from the sodium retaining aspects of mineralocorticoids'